Muscle attached to coracoid process ?
1. Pectoralis major
2. Long head of triceps
3. Medial head of triceps
4. Short head of biceps

Correct answer: 4. Short head of biceps

Explanation: Ans. is 'd' i.e., Short head of bicepsTip of the coracoid process gives origin to coracobrachialis (medially) and short head of the biceps. The upper surface receives insertion of pectoralis minor.